Leucokoria can be seen in all except -
1. Persistant hyperplastic primary vitreous
2. Congenital glaucoma
3. Fungal endopthalmitis
4. Retinoblastoma

Correct answer: 2. Congenital glaucoma

Explanation: Persistant hyperplastic primary vitreous,Fungal endopthalmitis,Retinoblastoma ,coloboma of choroid, exudative retinopathy of coats and retinopathy of prematurity. Ref: ak khurana 6th edition